A young boy had a flea bite while working in a wheat grain godown. After 5 days he developed fever and had axillary lymphadenopathy. A smear was sent to the laboratory to perform a specific staining. Which one of the following staining method would help in the identification of the suspected pathogen -
1. Albert staining
2. Ziehl-Neelsen staining
3. McFadyean's staining
4. Wayson staining

Correct answer: 4. Wayson staining